Features of cystinuria are -
1. Impaired proximal tubular reabsorption of cystin
2. Autosomal recessive
3. Recurrent renal stone
4. All of above

Correct answer: 4. All of above

Explanation: Ans. is 'd' i.e., All of above Cystineuriao Metabolic disorder of autosomal recessive inheritance.o Defect in transport of cystine and some other aminoacid across renal tubular ceil & interstitial cell,o Selective increase renal clearance of cystine and other basic aminoacid in urine.o High urinary cystine leads to radio - opaque hexagonal crystal,o Crystal is soluble in alkali.o Treatment - formation of stone can be reduced by alkalization of urine.